In ophthalmology, a patient is allergic to aminoesters. What can be used ?
1. Cocaine
2. Procaine
3. Prilocaine
4. Tetracaine

Correct answer: 3. Prilocaine

Explanation: Ans. is 'c' i.e., Prilocaine Prilocaine is an amide (aminoamide). Other three are aminoesters Aminoesters Aminoamides Procaine Chloroprocaine Tetracaine (Amethocaine) Benzocaine Cocaine Esters are metabolised by pseudocholinesterase except cocaine which is metabolised by liver) High incidence of allergic reactions which are because of para aminobenzoic acid Not bind to plasma protein Solutions are not stable Lignocaine Mepivacaine Prilocaine Bupivacine Etidocaine Ropivacaine Dibucaine o Amides are metabolised primarily in liver --> Action is longer Low incidence of allergic reactions Bind to a, acid glycoprotein Solutions are stable (not destroyed even byq autoclaving).